A patient suffering from AIDS is on zidovudine, lamivudine and indinavir therapy. He develops pulmonary tuberculosis for which treatment is started. Which of the following should be avoided in him?
1. INH
2. Ethambutol
3. Pyrazinamide
4. Rifampicin

Correct answer: 4. Rifampicin

Explanation: Ans. (D) Rifampicin(Ref: KDT 8th/e p818)Rifampicin is a powerful enzyme inducer. It increases the metabolism of protease inhibitors and thus decreases the efficacy of anti-retroviral therapy.Another drug, rifabutin is devoid of these interactions and is the preferred agent for treatment of mycobacterial infections in patients on anti-retroviral therapy.